Normal leucocyte count is -
1. 8000-15000
2. 4000-11000
3. 5000 - 8000
4. 7000 - 14000

Correct answer: 2. 4000-11000

Explanation: Ans. is 'b' i.e., 4000 - 11000 o The normal range of leucocytes is 4000 - 11000 white blood cells per microliter.o Of these, Neutrophils form 50 - 70%, lymphocytes 20 - 40%, monocytes 2 - 8%, eosinophils 1 -4%, basophils 0-4%.